Gamma Gandy bodies contains hemosiderin and -
1. Na+
2. Ca++
3. Mg++
4. Cl-

Correct answer: 2. Ca++

Explanation: Gamna gandy bodies in CVC spleen is characterised by calcific deposits admixed with hemosiderin on fibrous tissue. Gandy-Gamna nodules or Gandy-Gamna bodies, sometimes known as Gamna-Gandy bodies or Gamna-Gandy nodules, are small yellow-brown, brown, or rust-colored foci found in the spleen in patients with splenomegaly due to portal hypertension, as well as sickle cell disease. Ref: Harsh Mohan textbook of pathology,pg:35